The somatic non-stochastic effect of radiation is seen
1. As effects on the body irradiated
2. As effect of mutation
3. As hereditary phenomenon
4. All of the above

Correct answer: 1. As effects on the body irradiated

Explanation: Somatic effect are biological effects that occur on the exposed individuals.
They can be of two types:

Prompt
Delayed